Plasma volume is measured by
1. Inulin
2. Evans blue
3. Mannitol
4. D2O

Correct answer: 2. Evans blue

Explanation: Plasma volume is measured using dyes like Evans blue that bind specifically to plasma proteins. It will not diffuse into the interstitium. (REF: TEXTBOOK OF MEDICAL PHYSIOLOGY GEETHA N 2 EDITION, PAGE NO - 62)